Which of these vaccines is not contraindicated in pregnancy?
1. Measles
2. Hepatitis B
3. Varicella
4. BCG

Correct answer: 2. Hepatitis B

Explanation: Hepatitis B vaccine can be given to a high risk mother in pregnancy if she is seronegative. Vaccines contraindicated in pregnancy are Mumps Measles Rubella Varicella BCG Live influenza vaccine